When a person has suspended himself by applying ligature around the neck so that the point of suspension (knot) is situated in the region of the occiput. Such a hanging is called as -
1. Typical
2. Atypical
3. Partial
4. Incomplete

Correct answer: 1. Typical

Explanation: Typical hanging: The ligature runs from the midline above the thyroid cartilage, symmetrically upward on both side of the neck to the occipital region, the point of suspension (knot of ligature) being on occiput (at nape of neck). 
Atypical hanging: Any variation from typical knot site (i.e. other than occiput/nape of neck) is called atypical hanging. Most common site of knot is near one side of the mastoid process or angle of the mandible.